A two-year-old child presents with persistent diarrhea, acidic stools and presence of one percent of reducing substance in the fresh stools. What is the most probable diagnosis?
1. Cystic fibrosis
2. Lactose intolerance
3. Rotavirus induced diarrhea
4. Intestinal tuberculosis

Correct answer: 2. Lactose intolerance

Explanation: Presence of acidic stools with reducing substance positive, suggests a diagnosis of lactose intolerance.